Following are more common in multipara women than primipara woman, EXCEPT:
1. Anemia
2. Placenta previa
3. PIH
4. None of the above

Correct answer: 3. PIH

Explanation: The incidence of preeclampsia in multiparas is variable but is less than that for primiparas. Risk factors associated with pre-eclampsia: Primigravida (young and elderly) Family history (Hypertension, pre-eclampsia, eclampsia) Placental abnormalities Poor placentation Hyperplacentosis Placental ischemia Molar pregnancy Genetic disorder Immunologic phenomenon New paternity Pre-existing vascular or renal disease Thrombophilias Ref: Textbook of Obstetrics by DC Dutta, 6th edition, Page 222.